Posterior dislocation of hip results in:
1. Abduction, internal rotation, extension
2. Adduction, internal rotation, extension
3. Adduction, internal rotation, flexion
4. Abduction, external rotation, flexion

Correct answer: 3. Adduction, internal rotation, flexion

Explanation: Ans. (c) Adduction, internal rotation, flexionRef: Maheshwari 5th ed. /130* Posterior dislocations comprise approximately 80-90% of hip dislocations caused by Motor Vehicle Crash.* In posterior hip dislocations, the femoral head goes posteriorly causing the femur to get adducted and internally rotated.* Posterior dislocation: The hip is Flexed, ADducted and Internally Rotated (Mn: FADIR)* Anterior dislocation: The hip is minimally Flexed, markedly ABducted, and Externally Rotated (Mn: FABER).